The expression of the following oncogene is associated with a high incidence of medullary carcinoma of the thyroid
1. p53
2. Her-2-neu
3. Ret proto-oncogene
4. Rb gene

Correct answer: 3. Ret proto-oncogene

Explanation: MTC occurs most commonly in a sporadic form (80%); it occurs less commonly as an autosomal dominant inherited disorder such as MEN2A, MEN2B, and familial medullary thyroid carcinoma (FMTC).The MEN2 and FMTC syndromes involve different germline activating mutations in the RET proto-oncogene. Additionally, 40% to 50% of sporadic MTC specimens have acquired RET mutations.Ref: Sabiston 20e, page no: 932